Gastic erosions are likely to be associated with the following condition except -
1. Pernicious anaemia
2. Cor pulmonale
3. Polycythemia rubra vera
4. Hepatic cirrhosis

Correct answer: 1. Pernicious anaemia

Explanation: The deficiency of intrinsic factor is a consequence of the presence of atrophic body gastritis (ABG), which results in the destruction of the oxyntic mucosa, and thus, the loss of parietal cells, which normally produce chlorhydric acid as well as intrinsic factor.leading to pernicious Anemia Ref Davidson edition23rd pg808